Which is false about pulmonary embolism?
1. Chest pain is most common symptom
2. Arises from leg vein
3. More the survival time, more the chance for recovery
4. Neck veins may be distended

Correct answer: 1. Chest pain is most common symptom

Explanation: Dysponea is the commonest symptom and tachyponea is the commonest sign. The most common presenting symptom of pulmonary embolism is dyspnea. Dyspnea, pleuritic chest pain, and tachypnea were present in 97% of patients with pulmonary embolism. PE most commonly results from deep vein thrombosis. Clinical signs include low blood oxygen saturation and cyanosis, rapid breathing, and a rapid heart rate, left parasternal heave, a loud pulmonary component of the second heart sound, and raised jugular venous pressure.